Saccharin test is done to assess
1. Ciliary function
2. Blood sugar
3. Bronchial secretion
4. Kidney function

Correct answer: 1. Ciliary function

Explanation: (A) Ciliary function # SACCHARIN TEST for nasal mucociliary clearance> A simple test of nasal mucociliary clearance is to place a small particle of saccharin approximately 1 cm behind the anterior end of the inferior turbinate.